Diagnosis of structural diseases of the heart such as valvular heart disease is best shown by
1. Esophageal Doppler
2. Thoracic bioimpedance
3. Pulmonary artery catheterisation
4. Transesophageal echocardiography

Correct answer: 4. Transesophageal echocardiography

Explanation: Echocardiography types : Transthoracic echocardiography (TTE) Transesophageal echocardiography (TEE) TEE an ideal option to visualize the heart. TTE has the advantage of being completely noninvasive; however, acquiring the "windows" to view the heart can be difficult. Echocardiography uses are: Diagnosis of the source of hemodynamic instability, including myocardial ischemia, systolic and diastolic heart failure, valvular abnormalities, hypovolemia, and pericardial tamponade Guiding mitral valve repair. Estimation SV, CO, and intracavitary pressures Diagnosis of structural diseases of the heart, such as valvular heart disease, shunts, aortic diseases